Least failure in sterilization occurs with:
1. Falope ring
2. Bipolar cautery
3. Unipolar cauterisation
4. Hulka clip

Correct answer: 3. Unipolar cauterisation

Explanation: Female tubal sterilization methods-10 year cumulative failure rates:
Unipolar cauterisation – 0.75%
Postpartum tubal excision – 0.75%
Silastic ring/fallope ring – 1.77
Interval tubal exclusion – 2.01
Bipolar coagulation – 2.48
Hulka - clemens clips – 3.65
Note: Although unipolar cauterization has least failure rates, but is not preferred method for female steriliization as it leads to serious gastrointestinal burns.